Caldwell view is done for
1. Sphenoid sinus
2. Maxillary sinus
3. Ethmoid sinus
4. Frontal sinus

Correct answer: 4. Frontal sinus

Explanation: Caldwell view is the occipito frontal view. The frontal sinuses are seen clearly in this view.